Longest acting β–agonist is :
1. Salbutamol
2. Terbutaline
3. Salmeterol
4. Theophylline

Correct answer: 3. Salmeterol